Most common cause of Aortic dissection ?
1. Hypertension
2. DM
3. Trauma
4. Mafan syndrome

Correct answer: 1. Hypertension

Explanation: Ans. is 'a' i.e., Hypertensiono More than 90% of dissections occur in men between the age of 40 and 60 with antecedent hypertension. Other causes of dissection.o Marfan syndrome causing cystic medial necrosis (second most common).o Ehlers - Danlos syndrome.o Inflammatory aortitis --> Takayasu's disease, Giant cell arteritis.o Coarctation of aorta.o Normal woman during third trimester of pregnancy.o Congenital bicuspid aortic valve.